A high-risk dental caries individual is on preventive
schedule, the sugar exposure should be:
1. Reduced to meal times
2. Reduced to no exposure permanently
3. Reduced to no exposure for 21 days
4. Reduced to meal time exposure for 21 days

Correct answer: 1. Reduced to meal times